What best defines vasa vasorum ?
1. Small blood vessels supplying walls of large blood vessels
2. Small blood vessels supplying nerves
3. Vessels accompanying artery
4. Vessels accompanying nerves

Correct answer: 1. Small blood vessels supplying walls of large blood vessels

Explanation: The vasa vasorum is a network of small blood vessels that supply the walls of large blood vessels, such as elastic arteries (aorta) and large veins (vena cava). Depending on the type of vasa vasorum, it penetrates the vessel wall starting at the intimal layer or the adventitial layer. Due to higher radial and circumferential pressures within the vessel wall layers closer to the main lumen of the artery, vasa vasorum externa cannot perfuse these regions of the vessel wall. imageref-sciencedirect.com